Epidemic typhus is cause by -
1. R.typhi
2. R.prowazeki
3. R.rickettsii
4. R.tsutsugamushi

Correct answer: 2. R.prowazeki

Explanation: Ans. is 'b' i.e., R. prowazeki DiseaseAgentInsect vectorMammalian reservoir1.Typhus group a. Epidemic typhusR. prowazekiiLouseHumans b. Murine typhus (Endemic typhus)R. typhiFleaRodents c. Scrub typhusR. tsutsugamushiMiteRodents2.Spotted fever group a. Indian tick typhusR. conoriiTickRodents, dogs b. Rocky mountain spotted feverR. rickettsiiTickRodents, dogs c. Rickettsial poxR. akariMiteMice3.Others a. Q feverC. burnetiiNilCattle, sheep, goats. b. Trench feverRocholimaca quintanaLouseHumans